Apt test is useful for diagnosis of
1. DIC
2. Swallowed Maternal blood
3. Haemorrhagic disease of Newborn
4. Neonatal Thrombocytopenic purpura

Correct answer: 2. Swallowed Maternal blood

Explanation: The apt test is used to differentiate fetal blood from the maternal bloodReference: Nelson Textbook of Paediatrics; 20th edition